ST-segment elevation is seen in all the following except
1. Tako- tsubo syndrome
2. Acute pericarditis
3. Myocardial infarction
4. Right bundle branch block

Correct answer: 4. Right bundle branch block

Explanation: Differential Diagnosis of ST-Segment ElevationsIschemia/myocardial infarctionNon-infarction, transmural ischemia (Prinzmetal's angina, and probably Tako- tsubo syndrome, which may also exactly simulate classical acute infarction)Acute myocardial infarctionPost-myocardial infarction (ventricular aneurysm pattern)Acute pericarditisNormal variants (including benign "early repolarization" patterns)Left ventricular hypertrophy/left bundle branch blockOther (rarer)Acute pulmonary embolismBrugada patterns (right bundle branch block-like pattern with ST elevations in right precordial leads)Class 1C antiarrhythmic drugsDC cardioversionHypercalcemiaHyperkalemiaHypothermia (J waves)Non-ischemic myocardial injuryMyocarditisTumour invading left ventricleTrauma to ventriclesRef: Harrison 19e pg: 1457